Rosette cataract develops in the
1. Anterior cortex
2. Posterior cortex
3. Anterior subcapsule
4. Posterior subcapsule

Correct answer: 2. Posterior cortex

Explanation: It is seen as feathery lines of Opacities in the posterior cortex.